In congenital pyloric stenosis the defect usually lies in - antrum -
1. Nerve fibres
2. Circular muscle fibres
3. Longitudinal muscle fibres
4. Mucosa

Correct answer: 2. Circular muscle fibres